The role played by MHC proteins is to -
1. Transduce the signal to T cells following antigen recognition
2. Mediate immunoglobulin class - switching
3. Present antigens for recognition by T cell antigen receptors
4. Enhance the secretion of cytokines

Correct answer: 3. Present antigens for recognition by T cell antigen receptors

Explanation: . Present antigens for recognition by T cell antigen receptors